Pond's fracture is most common in -
1. Children
2. Elderly
3. Adolescent
4. Middle aged women

Correct answer: 1. Children

Explanation: Pond fracture occurs in children due to elasticity of their skull bones.